Signal pathways activate transcription factors for their transport into the nucleus by all except
1. Detachment of the transcription factor from a complexing protein can unmask a nuclear localisation signal
2. Phosphorylation of importin protein increases its binding affinity for transcription factors
3. Phosphorylation of the transcription factor can increase its importin binding affinity
4. Dephosphorylation of the transcription factor can increase its importin binding affinity

Correct answer: 2. Phosphorylation of importin protein increases its binding affinity for transcription factors

Explanation: Importin carrier molecule is not activated Reference: Harper; 30th edition